What causes edema in nephrotic syndrome?
1. Na and water restriction
2. Increased venous pressure
3. Hypoalbuminemia
4. Hyperlipidemia

Correct answer: 3. Hypoalbuminemia

Explanation: . Hypoalbuminemia